HIV prevalence can be assessed by-
1. Sentinel surveillance
2. Active
3. Passive
4. Register

Correct answer: 1. Sentinel surveillance

Explanation: Ans. is 'a' i.e., Sentinel surveillance o Sentinel surveillance in India is done in national AIDS control programme.